Blue line on gums seen in which poisoning?
1. Zinc
2. Mercury
3. Phenol
4. Oxalic acid

Correct answer: 2. Mercury

Explanation: Ans. is 'b' i.e., Mercury * Burtonian line is blue line, which is seen on upper gums in lead poisoning.* Similar blue line (but not called burtonian line in these cases) is also seen in poisoning with Mercury (Hg), Copper (Cu), Silver (Ag), bismuth (Bi), and Iron (Fe).